Which posterior mediastinal structure is most closely applied to the posterior surface of the pericardial sac?
1. Aorta
2. Azygos vein
3. Esophagus
4. Thoracic duct

Correct answer: 3. Esophagus

Explanation: The esophagus is closely related to the posterior surface of the pericardial sac. After coming from the heart, the aorta arches over the left pulmonary artery and left bronchus. Eventually, just above the diaphragm, this vessel is posterior to the esophagus. The azygos vein, on the right side of the thorax, arches over the right pulmonary artery and bronchus. It is also posterior to the esophagus. The thoracic duct is posterior to the esophagus as well and does not contact the pericardial sac. Finally, the trachea is superior to the heart.